APACHE II does not include ?
1. Acute physiology score
2. Age
3. Sex
4. Chronic health evaluation

Correct answer: 3. Sex

Explanation: Ans. C. SexAcute physiology and chronic health evaluationKnaus et al (1981) introduced the first the Acute Physiology and Chronic Health Evaluation (APACHE) model in 1981 and revised it to APACHE II in 1985. APACHE III was presented in 1991 but as the regression analysis modelling is not in the public domain its uptake has been slow.APACHE II is made up of four basic comPonents:1) Acute physiology score;2) Chronic health evaluation;3) Age;4) Urgency of admission to critical care